Subpoena is also called:
1. Summons
2. Panchnama
3. Requisition
4. Inquest papers

Correct answer: 1. Summons

Explanation: Ans. Summons